Not seen in colon
1. Taeniae
2. Pyer's patches
3. Sacculations
4. Appendices

Correct answer: 2. Pyer's patches

Explanation: Peyer's patch are aggregations of gut assossiated lymphoid tissue that are usually found in the lowest portion of the small intestine, the ileum, in humans; as such, they differentiate the ileum from the duodenam and jejunam. The duodenum can be identified by burnners gland. The jejunum has neither Brunner's glands nor Peyer's patches. Ref - BDC vol2 pg257,264